Popkorn cells are found in
1. Hodgkins Lymphoma
2. Non Hodgekins lymphoma
3. Multiple myeloma
4. Iron deficiency anaemia

Correct answer: 1. Hodgkins Lymphoma